Kernohan-Woltman sign (notch) is seen in:
1. Uncal herniation
2. Central herniation
3. Transfalcial herniation
4. Foramina' herniation

Correct answer: 1. Uncal herniation

Explanation: Ans. Uncal herniation